All are functions of corticosteroids except
1. Promotes breakdown of proteins
2. Decrease the amount of lymphatic cells in the spleen and lymph nodes
3. Inhibits the peripheral utilization of glucose
4. Decreases the catabolism of immunoglobulins

Correct answer: 4. Decreases the catabolism of immunoglobulins

Explanation: Corticosteroids are group of natural and synthetic analogues of the hormones secreted by the hypothalamic-anterior pituitary-adrenocortical (HPA) axis, more commonly referred to as the pituitary gland. These include glucocorticoids, which are anti-inflammatory agents with a large number of other functions; mineralocorticoids, which control salt and water balance primarily through action on the kidneys; and corticotropins, which control secretion of hormones by the pituitary gland.glucocorticoids are the group of corticosteroid hormones (mainly cortisol syn hydrocortisone, of which cortisone is the precursor) produced by the adrenal cortex, under the control of adrenocorticotrophic hormone (ACTH) from the anterior pituitary. Their major actions on nutrient metabolism have the net effect of promoting glucose and free fatty acid availability as fuels. Also vital for normal cellular processes as diverse, for example, as excitation-contraction coupling and the health of connective tissues.mineralocorticoids are adrenal corticosteroids that are active in the retention of salt and in the maintenance of life of adrenalectomized animals. Typical are deoxycorticosterone and aldosterone. Aldosterone is a natural hormone for salt retention but also has some regulatory effect on carbohydrate metabolism.Ref: Ganong's review of medical physiology;24th edition